The following situations are associated with rise of temperature after death, EXCEPT:
1. Burns
2. Heat stroke
3. Septicemia
4. Pontine hemorrhage

Correct answer: 1. Burns

Explanation: Condition in which temperature of the body remains raised for the first 2hours after death is called postmortem caloricity. Burns is not associated with postmortem caloricity. Ref: The Essentials of Forensic Medicine and Toxicology By Dr K S Narayan Reddy, 27th Edition, Pages 137-9